Paget's disease involves which of the following bone-a)  Pelvisb)  Vertebraec)  Skulld)  Phalangese)  Toes
1. ab
2. abc
3. acd
4. bcd

Correct answer: 2. abc

Explanation: Paget disease involves
Skull
Spine(vertebrae)
Tibia
Pelvis
Femur
Humerus